A lady presented with generalized edema sweating and flushing tachycardia and fever after bee sting. This is an example of:
1. T cell mediated cytotoxicity
2. IgE mediated reaction
3. IgG mediated reaction
4. IgA mediated hypersensitivity reaction

Correct answer: 2. IgE mediated reaction

Explanation: This patient has most likely developed an anaphylactic reaction secondary to bee sting. Anaphylaxis has been defined as acute, systemic, immediate hypersensitivity reaction produced by IgE mediated degranulation of mast cells and basophils. Manifestations of anaphylaxis includes:Cutaneous:Urticaria and angioedemaFlushingPruritus without rashRespiratory:Dyspnea, wheezeUpper airway angioedemaRhinitisAbdominal:Nausea, vomitingDiarrheaCramping abdominal pain Miscellaneous:Dizziness, syncope, hypotensionHeadacheSubsternal painSeizuresRef: Textbook of Family Medicine By David Rakel, page 354.